Which of the following is the most likely source of collagenase?
1. Staphylococcus aureus
2. Bacteroides gingivalis
3. Treponema microdentum
4. Veillonella alkalescens

Correct answer: 2. Bacteroides gingivalis